Behaviour therapy to change maladaptive behaviour using response as reinforcer uses the principles of:
1. Classical conditioning
2. Modeling
3. Social learning
4. Operant conditioning

Correct answer: 4. Operant conditioning

Explanation: D i.e. Operant conditioning